Nux Vomica is -a) Vegetable poison containing atropineb) Seed containing poisonc) Used as a cattle poisond) Used to induce vomiting in poison
1. a
2. c
3. ac
4. bc

Correct answer: 4. bc

Explanation: Nux vomica seeds contain strychnine.
Strychnine is used as a respiratory stimulant, rodenticide, cattle poison, and for killing stray dogs.